In proximal tubule, HCO3 is absorbed with the step of
1. Na+ Cl cotransporter
2. Na+ - K+2Cl contraspoer
3. Na+ - H+ exchanger
4. Na+ -K+ exchanger

Correct answer: 3. Na+ - H+ exchanger

Explanation: HCO3 is absorbed with the step of Na+ - H+ exchanger Ref: Ganong's review of medical physiology; 24th edition; page no; 680 Ref of imag :